Which is the most abundant amino acid in the structure of collagen
1. Proline
2. Glycine
3. Hydroxy proline
4. Phenylalanine

Correct answer: 2. Glycine

Explanation: Glycine is the most abundant amino acid in collagen, as every 3rd amino acid in the structure is glycine.
Note: Phenylalanine is not seen in collagen.